Irresistible urge to do a thing repeatedly is seen in-
1. Obsessive - compulsive disorder
2. Schizophrenia
3. Schizoaffective disorder
4. Depression

Correct answer: 1. Obsessive - compulsive disorder

Explanation: OCD is an anxiety disorder, which is characterized by recurrent, unwanted thoughts (obsessions) and repetitive behaviors (compulsion).